Secondary amyloidosis complicates which of the following?
1. Pneumonia
2. Chronic glomerulonephritis
3. Osteosarcoma
4. Chronic osteomyelitis

Correct answer: 4. Chronic osteomyelitis

Explanation: Reactive systemic amyloidosis Associations TB Bronchiectasis Chronic osteomyelitis RA - in 3% Ankylosing spondylitis IBD Heroin abusers RCC Hodgkin lymphoma